Which of the following anti - glaucoma drug can likely cause black pigmentation on conjunctiva
1. Adrenaline
2. Latanoprost
3. Beta blockers
4. Pilocarpine

Correct answer: 1. Adrenaline

Explanation: Adrenaline used in glaucoma can lead to conjunctival pigmentation because of adrenochrome.